Essential fatty acids are all EXCEPT:
1. Arachidonic acid
2. Linoleic acid
3. Palmitic acid
4. Linolenic acid

Correct answer: 3. Palmitic acid

Explanation: Palmitic acid